Sabre tibia is associated with:
1. Gonorhhoea
2. Congenital syphilis
3. Renal osteodystrophy
4. Rickets

Correct answer: 2. Congenital syphilis

Explanation: Ans. B i.e. Congenital syphilis